Disorders associated with vitiligo EXCEPT?
1. Androgenic Alopecia
2. Hypothyroidism
3. Addison's disease
4. Diabetes mellitus

Correct answer: 1. Androgenic Alopecia

Explanation: DISORDERS ASSOCIATED WITH VITILIGO Thyroid disease: Hyperthyroidism Hypothyroidism Pernicious anemia Addison's disease Diabetes mellitus Hypoparathyroidism Myasthenia gravis Alopecia areata Morphoea and lichen sclerosis